Which of the following is the tributary of inferior vena cava?
1. Right gonadal vein
2. Splenic vein
3. Left supra renal vein
4. Left gonadal vein

Correct answer: 1. Right gonadal vein

Explanation: Tributaries of Inferior vena cava: Common iliac vein Lumbar vein Renal vein Phrenic vein Right gonadal vein Right suprarenal vein Hepatic vein CHOICE EXPLANATION & ELIMINATION REASON 1 Right gonadal vein Tributary of inferior vena cava 2 Splenic vein Tributary of portal vein 3 Left supra renal vein Tributary of renal vein 4 Left gonadal vein Tributary of renal vein